In Wilms tumor the following leads to emergence of resistance to chromotherapy
1. Nehprogenic rests
2. Monoblastic morphology
3. Anpalsia
4. Capsular infiltration

Correct answer: 3. Anpalsia

Explanation: 5 percnt of tumors have Anpalsia, defined as the presence of cells with large hyperchromatic pleomprphic nuclei and abnormal mitosis and the presrnc of anapladsia coreltes with p53 mutation